Which of the following techniques is used for detection of variation in DNA sequence and Gene expression?
1. Northern blot
2. Southern blot
3. Western blot
4. Microarray

Correct answer: 4. Microarray

Explanation: DNA microarray (also commonly known as DNA chip or biochip) is a collection of microscopic DNA spots attached to a solid surface. Scientists use DNA microarrays to measure the expression levels of large numbers of genes simultaneously or to genotype multiple regions of a genome.